Palatoprints for identification of the person is performed by taking prints from which area of the hard plate -
1. Lateral
2. Anterior
3. Middle
4. Posterior

Correct answer: 2. Anterior

Explanation: Palatogram is study of rugae in anterior part of hard palate. It is highly specific as fingerprints ref :.Dr.K.S.Narayana Reddys Synopsis of Forensic Medicine & Toxicology 27th edition pg. 48